Early gastric carcinoma does not include-
1. Involvement of the mucosa
2. Involvement of the mucosa and submucosa
3. Involvement of the mucosa, submucosa, and muscularis propria
4. Involvement of the mucosa and submucosa with lymphatic involvement

Correct answer: 3. Involvement of the mucosa, submucosa, and muscularis propria

Explanation: Early gastric carcinoma does not include- muscularis propria Early gastric carcinoma is cancer limited to the mucosa and submucosa with or without lymph node involvement Japanese classification for Early gastric carcinoma: